To minimize the effects of diffusion hypoxia during N2O-O2 analgesia, the patient should be oxygenated for
1. 30 seconds to 1 minutes
2. 3 to 5 minutes
3. 10 to 30 minutes
4. 30 to 45 minutes

Correct answer: 2. 3 to 5 minutes